An 80-year-old female present with progressive loss of memory, difficulty in recalling names, difficulty in speech and irritability. Along with neurofibrillary tangles what will be found in the brain -
1. Beta amyloid
2. Ceramidease
3. Lewy bodies
4. Pick's bodies

Correct answer: 1. Beta amyloid